Acute Immoral renal transplant rejection is characterized by the following except -
1. Presence of anti-donor antibodies
2. Interstitial and tubular mononuclear cell infiltrate
3. Necrotizing vasculitis
4. Acute cortical necrosis

Correct answer: 2. Interstitial and tubular mononuclear cell infiltrate

Explanation: Harshmohan textbook of pathology 7th edition. In humoral immune reaction there is preformed circulating antibodies due to pre sensitization of the recipient before transplantation. It is characterised by acute rejection vasculitis and foci of necrosis in small vessels. The mononuclear cell infiltrate is less marked as compared to cellular rejection and consist mostly of B lymphocytes..